Axillary abscess is safely drained by which approach
1. Medial
2. Anterior & posterior circumflex humeral
3. Floor
4. Lateral

Correct answer: 3. Floor

Explanation: Axillary abcess should be incised through the floor of axilla, midway between the anterior and posterior axillary folds,and nearer to the medial wall in order to avoid injury to the main vessels running along the anterior,posterior and lateral walls.